Common carcinoma of upper 1/3 oesophagus:
1. Adenocarcinoma
2. Squamous
3. Squamo columnar
4. Melanoma

Correct answer: 2. Squamous

Explanation: Ans. (b) Squamous cell carcinomaRef: Bailey and love 26th Edition, Page 1004* Most common type of cancer in upper 2/3rd is squamous cell carcinoma.* Most common type of cancer in lower third is adenocarcinoma* Most common type in the world, India: Squamous cell cancer* Most common type in western countries: Adenocarcinoma